Botulism is a disease of: -
1. Neural transmission caused by the toxin of the bacterium Clostridium botulinum
2. Muscular transmission caused by the toxin of the bacterium Clostridium botulinum
3. Neuromuscular transmission caused by the toxin of the bacterium Clostridium botulinum
4. Non neuromuscular transmission caused by the toxin of the bacterium Clostridium botulinum

Correct answer: 3. Neuromuscular transmission caused by the toxin of the bacterium Clostridium botulinum

Explanation: Neuromuscular transmission caused by the toxin of the bacterium Clostridium botulinum leads to botulism. C. botulinum produces powerful neurotoxin 'botulinum toxin'(BT). Botulinum toxin is absorbed from the gut, enters the blood circulation, and binds to receptors of presynaptic membranes of motor neurons of PNS and cranial nerves. The toxin does not cross the blood brain barrier or affect the central nervous system. Botulinum toxins act by blocking the release of acetylcholine at synapses and neuromuscular junction- resulting in lack of muscle contraction and flaccid paralysis. C/F - Flaccid ,symmetrical cranial nerve palsy -blurred vision, loss of pupilary reflexes. Symmetrical flaccid descending motor paralysis - Quadriparesis.